All of the following are associated with frozen shoulder except
1. Diabetes
2. Hyperthyroidism
3. Psoriasis
4. Hemiplegis

Correct answer: 3. Psoriasis

Explanation: Answer- C. PsoriasisFrozen shoulder, also known as adhesive capsulitis ot periarthritis is of shoulder, is characterized,by progressive pain andstiffness of the shoulder which usually resolves spontaneously after about l8 months.The condition is particularly associated with-DiabetesDupuytren's diseaseHyperlipidemiaCardiac diseaseHyperthyroidismHemiplegia